Increased bone density is not seen in
1. Osteopetrosis
2. Rickets
3. Hypervitaminosis A
4. Lead poisoning

Correct answer: 2. Rickets